38 year old male with pain and tenderness in dorsolumbar junction. Radiograph shows destruction of 12th dorsal vertebra with loss of disc space between D12 and L1, most probable diagnosis
1. Trauma
2. Vertebral osteomyelitis
3. Pott's spine
4. Metastasis of carcinoma lung

Correct answer: 3. Pott's spine